Patient diagnosed to have malaria, smear shows all stage of schizonts 14-20 merozoites, yellowish -brown pigment. The type of malaria is -
1. Pl. Falciparum
2. Pi. Malariae
3. Pl. Vivax
4. Pl. Ovale

Correct answer: 3. Pl. Vivax